Base substitution mutations can have be following molecular consequence except:
1. Changes one codon for an amino acid into another codon for that same amino acid
2. Codon for one amino acid is changed into a codon of another amino acid
3. Reading frame changes downstream to the mutant site
4. Codon for one amino acid is changed into a translation termination codon

Correct answer: 3. Reading frame changes downstream to the mutant site

Explanation: C i.e. Reading frame changes down stream to the mutant site